Test of significance for comparing means of 2 group is
1. Paired t - test
2. Unpaired t - test
3. Sign test
4. Chi - square test

Correct answer: 2. Unpaired t - test

Explanation: Paired student t - test ⇒ Comparision of means in paired data of 1 group.
Un - Paired student t - test ⇒ Comparision of means between 2 group.
ANOVA test ⇒ Comparision of means if ≥ 3 groups.